A patient of more than 70 years, presented with generalized lymphadenopathy, WBC count was 20,000/mm3 and blood film showed >70% mature looking lymphocytes. Next investigation that should be done -
1. LN Biopsy
2. Peripheral Immunohistophenotyping
3. Bone marrow aspiration
4. Peripheral blood cytogenetics

Correct answer: 2. Peripheral Immunohistophenotyping

Explanation: . Peripheral Immunohistophenotyping